All are causes of sensorineural deafness except:
1. Old age
2. Cochlear otosclerosis
3. Loud sound
4. Rupture of tympanic membrane

Correct answer: 4. Rupture of tympanic membrane

Explanation: (d) Rupture of tympanic membrane (leads to conductive deafness).(Ref. Cummings, 6th ed., 2201)Old age (presbycusis) leads to SN hearing loss.Loud noise induced hearing loss is associated with pathological changes in cochlea leading to SN hearing loss. Noise trauma, presbycusis and ototoxic drugs involve basal turns of cochlea first; thereby affect high frequency sounds early.Cochlear otosclerosis leads to sensory hearing loss.